Left sided lateral gaze is affected in lesion of -
1. Right frontal lobe
2. Right occipital lobe
3. Left occipital lobe
4. Left frontal lobe

Correct answer: 1. Right frontal lobe

Explanation: Horizontal eye movements (Fast one or saccadic) are triggered by the centro lateral frontal lobes i.e. left lateral gaze palsy is caused by right frontal lobe Abducens nuclear lesions produces a complete lateral gaze palsy Ref